Non-Anion Gap Acidosis is seen in all except
1. Diarrhea
2. NSAIDs
3. Renal acidosis
4. Starvation

Correct answer: 4. Starvation

Explanation: Starvation causes ketoacidosis which in turn has positive anion gap Ref: Harrison's Principles of Internal Medicine; 19th edition; Chapter 66; Acidosis and Alkalosis